Radiopharmaceutical used for the liver scan is
1. Tc-99m sulphur colloid
2. Tc-99m mebrofenin
3. Tc-99m MIBI
4. Tc-99m DTPA

Correct answer: 1. Tc-99m sulphur colloid

Explanation: Tc-99m sulphur colloid is used in liver scan.Tc-99m DTPA measurement of GFR.Tc99m-sestamibi is taken up by cells with a high concentration of mitochondria i.e. highly cellular/metabolically active tissues such as the heart but also abnormal tissues such as oxyphil cell parathyroid adenomas, myeloma and breast cancer.